In a patient with gouty arthritis, synovial fluid aspiration will show -
1. Monosodium Urate crystals
2. Calcium Pyrophosphate crystals
3. Mononuclear Leucocytosis
4. Polymorphonuclear Leukocytosis

Correct answer: 1. Monosodium Urate crystals

Explanation: The definitive diagnosis of gout is made by examination of synovial fluid or tophaceous material with polarized light microscopy and identifying the characteristic monosodium urate crystals.